The efferent limb of the gag reflex is?
1. Facial nerve
2. Glossopharyngeal nerve
3. Trigeminal nerve
4. Vagal nerve

Correct answer: 4. Vagal nerve

Explanation: The gag reflex involves a brisk and brief elevation of the soft palate and bilateral contraction of pharyngeal muscles evoked by touching the posterior pharyngeal wall The vagus nerve (CN X) provides the efferent limb of the gag reflex (muscles of the soft palate). The glossopharyngeal nerve provides the afferent limb of the gag reflex.